A 45 year old male met with road traffic accident & sustained severe head injury. Later he develops pituitary insufficiency & is started on thyroid hormone, testosterone, glucocorticoids, and vasopressin. All of the following can be found in this patient because of growth hormone deficiency EXCEPT:
1. Abnormal lipid profile
2. Atherosclerosis
3. Increased bone mineral density
4. Increased waist-to-hip ratio

Correct answer: 3. Increased bone mineral density

Explanation: Increased bone mineral density is not seen in GH deficiency Features of growth hormone deficiency are: Clinical Imaging Laboratory Increased body fat mass Decreased lean body mass Increased waist-to-hip ratio Impaired cardiac structure & function Impaired lipid profile Atherosclerosis Decreased fibrinolytic activity Pituitary- mass or structural damage Bone- decreased bone mineral density Abdomen- excessive omental fat Evoked GH <3ng/ml IGF-1: decreased Increased LDL